Cremasteric reflex is elicited by stroking on which aspect of thigh skin?
1. Anterior
2. Posterior
3. Medial
4. Lateral

Correct answer: 3. Medial

Explanation: Ans. C MedialRef: Clinically Oriented Anatomy by Keith, Moore, 5th Ed i 223* Cremasteric reflex is elicited by lightly stroking the skin on the medial aspect of the superior part of the thigh with an applicator stick or tongue depressor.